Not glucogenic is
1. Acetyl CoA
2. Lactate
3. Glycerol
4. Oxaloacetate

Correct answer: 1. Acetyl CoA

Explanation: CLASSIFICATION OF AMINO ACIDS BASED ON METABOLISM - A. Purely Ketogenic - Leucine is purely ketogenic because it is converted to ketone bodies. B. Ketogenic and Glucogenic - Lysine, Isoleucine, Phenylalanine, Tyrosine and Tryptophan are partially ketogenic and partially glucogenic. How ever in humans lysine is predominantly ketogenic. During metabolism, part of the carbon skeleton of these amino acids will enter the ketogenic pathway and the other part to glucogenic pathway. C. Purely Glucogenic - All the remaining 14 amino acids are purely glucogenic as they enter only into the glucogenic pathway. the glucogenic amino acids are: Alanine Arginine Asparagine Aspartic acid Cysteine Glutamic acid Glutamine Glycine Histidine Methionine Proline Serine Valine. PNEMONIC TO REMEMBER ESSENTIAL AMINO ACIDS -"Any Help In Learning These Little Molecules Proves Truely Valuable" This stands for Arginine, Histidine, Isoleucine, Leucine, Threonine, Lysine, Methionine, Phenylalanine, Tryptophan and Valine in that order. Arginine and Histidine are semi-essential amino acids; while others are essential. REF:DM VASUDEVAN TEXTBOOK OF BIOCHEMISTRY,EIGHTH EDITION,PG.NO.,26,27.